Not seen in pellagra ?
1. Diarrhea
2. Dyspepsia
3. Dementia
4. Dermatitis

Correct answer: 2. Dyspepsia

Explanation: Ans. is 'b' i.e., Dyspepsia Pellagra is a disease that occurs due to deficiency of Niacin (Vitamin-B3). It is characterized by classical triad of3Ds :- Diarrhea Dermatitis Dementia Skin (Dermatitis) cIT Neurological Manifestations of Pellagra First sign is reddened skin with superficial scaling. Itching or burning sensation. Skin is thick, hard, scaly and cracked. Bleeding from blackened crusts. There may be peeling of lips, tongue. Diarrhea is seen in 50%. Poor appetite, nausea, vomiting, abdominal pain. Difficulty to eat. Malnutrition. Initially apathy and mild depression. Headache, confusion, irritability, anxiety, restlessness. Delusions, disoriention and psychosis. Dementia